A 12-year-old boy presents with disruptive behaviour at school, aggression towards teachers and truancy. He was recently suspended from the school for destruction of school property. Which of the following diagnosis best suits his presentation?
1. Oppositional defiant disorder
2. Conduct disorder
3. Attention deficit hyperactivity disorder
4. Autism spectrum disorder

Correct answer: 2. Conduct disorder

Explanation: Conduct disorder in children is characterised by behaviours which could cause harm to self or others or property. Cruelty to animals is also a feature. There is frequent violation of the rights of others and rule breaking behaviours. The behaviours are persistent and not occasional.Ref: Kaplan & Sadock's Synopsis of Psychiatry: Benjamin J Sadock, M.D., Harold I. Kaplan, Virginia A Sadock, M.D, Edition: 10, Page 1218